CSF findings in a patient with tubercular meningitis:
1. Raised protein, normal glucose, increased WBC
2. Raised protein, normal glucose, increased lymphocytes
3. Raised protein, decreased glucose, increased lymphocytes
4. Raised protein, decreased glucose, increased neutrophils

Correct answer: 3. Raised protein, decreased glucose, increased lymphocytes

Explanation: Ans: C i.e. Raised protein, decreased glucose, increased lymphocytes Conditions and CSF findings Subarachnoid hemorrhage presents with normal/slightly raised WBC, normal glucose and raised protein Viral meningitis presents with 10-2000 lymphocytes (normal 0-4 X 106/L), normal glucose and normal/increased protein Tubercular meningitis presents with 50-5000 lymphocytes, decreased glucose and increased protein Acute bacterial meningitis shows 1000-5000 polymorphs, decreased glucose and increased protein